Honeycomb histological appearance is seen in:
1. Adenoid cystic carcinoma
2. Primordial cyst
3. Burkitt’s lymphoma
4. Pernicious anemia

Correct answer: 1. Adenoid cystic carcinoma

Explanation: Adenoid cystic carcinoma is composed of myoepithelial cells and ductal cells which have a varied arrangement. Morphologically, three growth patterns have been described: cribriform (classic), tubular, and solid (basaloid). The tumors are categorized according to the predominant pattern. 
The cribriform pattern shows basaloid epithelial cell nests that form multiple cylindrical cyst like patterns resembling a Swiss cheese or honeycomb pattern, which is the most classic and best recognized pattern. The lumina of these spaces contain periodic acid-Schiff (PAS) positive mucopolysaccharide secretion. 
The tubular pattern reveals tubular structures that are lined by stratified cuboidal epithelium. 
The solid pattern shows solid groups of cuboidal cells with little tendency towards duct or cyst formation. 
The cribriform pattern is the most common, whereas the solid pattern is the least common.
Ref: Shafer's textbook of oral pathology 7th edition page 239